MC side effect of IUCD insertion:
1. Ectopic pregnancy
2. Pelvic infection
3. Pain
4. Bleeding

Correct answer: 4. Bleeding

Explanation: MC side effect bleeding (give to female iron tablet for 2 months). Pain is 2nd mc. but its mc cause of removal of IUCD.